Graveyard of ENT surgeon
1. Pyriform Fossa
2. Bucco Labial sulcus
3. Tonsilolingual sulcus
4. Peritonsillar space

Correct answer: 3. Tonsilolingual sulcus

Explanation: Tonsilolingual sulcus is seat of carcinoma usually missed by ENT doctor in OPD to check.